In direct laryngoscopy which of the following cannot be visualized:
1. Cricothyroid
2. Lingual surface of epiglottis
3. Arytenoids
4. Pyriform fossa

Correct answer: 1. Cricothyroid

Explanation: (a) Cricothyroid(Ref. Dhingra, 6th ed., 422)In Direct laryngoscopy we are visualising the cavity of the larynx from within so cricothyroid muscle or membrane which lie externally cannot be seen.